Gamna Gandy bodies contain hemosiderin and -
1. Na+
2. Ca++
3. Mg ++
4. Cl-

Correct answer: 2. Ca++